A 70 years male presented with asymptomatic white patch on oral cavity following application of the denture. Treatment of choice is --
1. Low does radiotherapy
2. Biopsy of the all the tissues
3. Ascertaining the denture is fit properly
4. Antibiotics

Correct answer: 3. Ascertaining the denture is fit properly

Explanation: Ans. is 'c' i.e., ascertaining the denture is fit properly